For every clinical case of poliomyelitis subclinical cases are -
1. 500 in children and 75 in adults
2. 500 in children and 25 in adults
3. 250 in children and 25 in adults
4. 1000 in children and 75 in adults

Correct answer: 4. 1000 in children and 75 in adults

Explanation: It is estimated that for every clinical case, there may be 1000 subclinical cases in children and 75 in adults. Ref :PARK'S TEXTBOOK OF PREVENTIVE AND SOCIAL MEDICINE 23rd edition , Page:205